All are TRUE about Meckel's diverticulum, EXCEPT:
1. It occurs in 2% population
2. It is a true diverticulum
3. It always contains gastric mucosa
4. It arises from antimesenteric border

Correct answer: 3. It always contains gastric mucosa

Explanation: Meckel's diverticulum is the most prevalent congenital anomaly of the GI tract, affecting approximately 2% of the general population. A 3:2 male-to-female prevalence ratio has been reported. Meckel's diverticula are designated as true diverticula because their walls contain all of the layers found in normal small intestine. Approximately 60% of Meckel's diverticula contain heterotopic mucosa, of which over 60% consist of gastric mucosa. It arises from the antimesenteric border of ileum. A useful mnemonic describing Meckel's diverticulum is the "rule of twos": 2% prevalence, 2:1 female predominance, location 2 ft proximal to the ileocecal valve in adults, and one half of those who are symptomatic are under 2 years of age. Ref: Tavakkolizadeh A., Whang E.E., Ashley S.W., Zinner M.J. (2010). Chapter 28. Small Intestine. In F.C. Brunicardi, D.K. Andersen, T.R. Billiar, D.L. Dunn, J.G. Hunter, J.B. Matthews, R.E. Pollock (Eds), Schwartz's Principles of Surgery, 9e.